Not a cause of granular contracted kidney-.
1. Diabetes mellitis
2. Chronic pyelonephritis
3. Benign nephrosclerosis
4. Chronic glomerulonephritis

Correct answer: 1. Diabetes mellitis

Explanation: Answer is A (Diabetes mellitus): Diabetes Mellitus is not associated with contracted (small) kidneys. The kidneys are typically normal or increased in size in diabetic nephropathy - Harrisons Causes of Contracted Kidneys Chronic Glonterulonephritis (Bilateral) Nephrosclerosis because of systemic hypertension (Bilateral) Chronic pvelonephritis (Usually unilateral) Global renal infarction (Unilateral) Radiation nephritis (Unilateral) Renal artery stenosis (Unilateral) Post obstructive atrophy (Unilateral) Note that Acute Gloinerulonephritis, and acute pvelonephritis are associated with enlarged kidneys but chronic cases are associated with contracted kidneys